Which of the following is a Phase I reaction in Xenobiotics?
1. Hvdroxylation
2. Methylation
3. Conjugation
4. Acetylation

Correct answer: 1. Hvdroxylation

Explanation: Ref: Basic and clinical Pharmacology by Bel ram Katzung, 12th edition Pp-56,57,60Explanation:Phase I reactions are Oxidation, reduction andhydrolysisThis includes CYP dependent oxidation, dealklation, deamination, desulfation, dechlorination.CYP independent oxidations like Flav in monooxygenase. amine oxidases, dehydrogenationsReduction includes azo reductions, nitroredu- ctionsHydrolysis includes ester and amidePhase II reactions are Conjugation (glucuronida- tion, glycine,glutathione), methylation Sulfation and acetylation